In which part of body a lesser impact causes maximum bruise?
1. Face
2. Sole
3. Back
4. Palm

Correct answer: 1. Face

Explanation: Ans is 'a' i.e. Face "If the part is vascular and loose, such as face, vulva, scrotum a slight degree of violence may cause a large bruise, as there is sufficient space for blood to accumulate. Reddy